Retinitis pigmentosa is associated with all of the following syndromes, EXCEPT:
1. Usher's syndrome
2. Bassen-Kornzweig disease
3. Kearns-Sayre syndromes
4. Marfan syndrome

Correct answer: 4. Marfan syndrome

Explanation: The many and diverse syndromes to which retinitis pigmentosa may be linked include the following: Oligophrenia, obesity, syndactyly, and hypogonadism (Bardet-Biedl syndrome); hypogenitalism, obesity, and mental deficiency (Laurence-Moon syndrome); Friedreich and other types of spinocerebellar and cerebellar ataxia; spastic paraplegia and quadriplegia with Laurence-Moon syndrome; neurogenic amyotrophy, myopia, and color-blindness; polyneuropathy and deafness (Refsum disease); deaf mutism; Cockayne syndrome and Bassen-Kornzweig disease; Usher's Syndrome (deafness) and several mitochondrial diseases, particularly progressive external ophthalmoplegia and Kearns-Sayre syndromes. Ectopia lentis, severe myopia, and retinal detachment is seen in Marfan's Syndrome. Ref: Ropper A.H., Samuels M.A. (2009). Chapter 39. Degenerative Diseases of the Nervous System. In A.H. Ropper, M.A. Samuels (Eds), Adams and Victor's Principles of Neurology, 9e.Papadakis MA, McPhee SJ, "Marfan Syndrome." Quick Medical Diagnosis & Treatment.